Apoptosis is induced by:
1. Activation of Caspases
2. Activation of Interleukins
3. Activation of MAP Kinase
4. Activation of Phospholipase C

Correct answer: 1. Activation of Caspases

Explanation: Ans: A (Activation of caspases) Ref: Robbins Pathologic Basis of Disease. 8th edition, pg: 1304Explanation:"A specific feature of apoptosis is the activation of several members of a family of cysteine proteases named caspases." Ref: Robbins